In eosphageal perforation all are seen except-
1. Pain
2. Bradycardia
3. Fever
4. Hypotension

Correct answer: 2. Bradycardia